Which type of anemia is seen in Rheumatoid arthritis?
1. Normocytic, normochromic
2. Hyperchromic, Normocytic
3. Hypochromic, normocytic
4. Hypochromic, leucopenia

Correct answer: 1. Normocytic, normochromic

Explanation: Anemia of chronic illness traditionally encompassed any inflammatory, infectious, or malignant disease of a long-standing nature. Includes rheumatoid arthritis, severe trauma, heart disease, or diabetes mellitus. There is primarily a decreased availability of iron, relatively decreased levels of erythropoietin, and a mild decrease in the lifespan of RBCs to 70-80 days. Early onset rheumatoid arthritis with positive rheumatoid factor is more likely to have normocytic normochromic anemia.